Which is not a feature of Apoptosis:
1. Cellular shrinkage.
2. Nuclear compaction.
3. The plasma membrane is disturbed
4. The plasma membrane is intact.

Correct answer: 3. The plasma membrane is disturbed

Explanation: Apoptosis vs Necrosis: